In carcinoid syndrome, the part of heart mostly affected is -
1. Outflow tract of RV
2. Inflow tract of RV
3. Inflow tract of LV
4. Outflow tract LV

Correct answer: 2. Inflow tract of RV